The presence of small sized platelets on the peripheral smear is characteristic of -
1. Idiopathic thrombocytopenic purpura
2. Bernard soulier syndrome
3. Disseminated intravascular coagulation
4. Wiskott Aldrich syndrome

Correct answer: 4. Wiskott Aldrich syndrome